Which of the following classification of caries is based on the healing capacity of enamel and dentin?
1. GV Black
2. Baum
3. Finn modification of Black classification
4. Mount and Hume

Correct answer: 4. Mount and Hume

Explanation: It defines the site, extent and complexity of a cavity and stresses on conservative approach. Denoted by 2 numbers, first for site and second for extent. Determines the healing capacity of enamel. It is the basis of minimal intervention dentistry.
Site 1 pits and fissures on posterior occlusal surfaces or smooth surfaces.
Site 2 contact areas
Site 3 cervical third of crown after recession and root surface
Size 1 minimal dentinal involvement just beyond treatment by remineralization alone
Size 2 moderate involvement of dentin following cavity preparation but enamel is sound and well supported.
Size 3 large cavity with weakened structure, may fail under load. Restoration designed to support tooth
Size 4 extensive caries with bulk loss of tooth structure.
TB of Operative Dentistry by Vimal Sikri 1 st ed., 130